Following are the early causes of death in criminal abortion except?
1. Hemorrhage
2. Vagal inhibition
3. Fat embolism
4. Septicemia

Correct answer: 4. Septicemia

Explanation: Ans. is 'd' i.e., SepticemiaDeath in criminal abortionEarly CausesDelayed causesLate causesHemorrhageGeneral peritonitisHepatitisshockPelvic tetanusMeningitisvagal inhibitionPyemiaPneumonitisFat embolismSepticemiaEndocarditisAir embolismSecondary hemorrhagePulmonary embolismCervix and vagina Systemic poisoningPerforation of uterus